All of the following drugs are used as immunosuppressants EXCEPT :
1. Glucocorticoids
2. Cyclosporine
3. Cephalosporin
4. Azathioprine

Correct answer: 3. Cephalosporin

Explanation: Cephalosporins are β-lactam antibiotics whereas other drugs are lmmunosuppressants.